Study of designing equipment and devices that fit the human body, its movements, and its cognitive abilities is?
1. Economics
2. Ergonomics
3. Bionomics
4. Socionomics

Correct answer: 2. Ergonomics

Explanation: Ergonomics means fitting the job to the worker.it involves designing of machines,tools,equipment and manufacturing processes,lay out of the places of work,methods of work and environment inorder to achieve greater efficiency of both man and machine.(Ref.PARK'S textbook of preventive and social medicine 21st edition page no.744)